The primary defect in CTEV are the following Except
1. Equinus
2. Adduction
3. Calcaneus
4. Varus

Correct answer: 3. Calcaneus

Explanation: CTEV deformities:* Equinus deformity occurs primarily at the ankle joint. Other tarsal joints also contribute to it.* Inversion deformity occurs primarily at the subtalar joint. The inverted calcaneum takes the whole foot with it so that the sole faces medially.* Forefoot adduction deformity occurs at the midtarsal joints, mainly at the talonavicular joint.* Forefoot cavus deformity is the result of excessive arching of the foot at the mid-tarsal joints Ref: Maheshwari 6e pg 210.